Which type of breast cancer is most likely to be bilateral:
1. Infiltrating duct carcinoma
2. Paget's disease of breast
3. Lobular carcinoma of the breast
4. Medullary carcinoma of the breast

Correct answer: 3. Lobular carcinoma of the breast

Explanation: Ans. C: Lobular carcinoma of the breast Invasive lobular carcinoma is commonly multifocal and/ or bilateral MC of Breast pathology: MC disorder: Fibroadenosis MC tumour: Fibroadenoma MC Ca: Ductal/ Schirrous Ca MC bilateral tumour: Lobular Ca MC site: Outer upper quadrant MC involved lymph nodes: Axillary MC cause of breast discharge: Duct ectasia MC cause of bloodly discharge: Duct papilloma MC site of metastasis: Bone Breast Ca: Associated with: - Positive family history - Non breast feeding mothers - Nulliparity - Mammary dysplasia/ atypical hyperplasia/ sclerosing adenosis Peau D: lymphatic permeation First investigation: FNAC Investigation of choice: Biopsy